Which of the following sections of IPC was decriminalized as per "Mental health care bill 2016"?
1. 305
2. 306
3. 308
4. 309

Correct answer: 4. 309

Explanation: 309. Attempt to commit suicide: Whoever attempts to commit suicide and does any act towards the commission of such offense, shall be punished with simple imprisonment for a term which may extend to one year or with fine, or with both. Mental Healthcare Bill states, "Notwithstanding anything contained in section 309 of the Indian Penal Code, any person who attempts to commit suicide shall be presumed unless proved otherwise, to have severe stress and shall not be tried and punished under the said Code. Ref: Textbook of Forensic Medicine and Toxicology; 5th ed; internet